Hereditary nephritis is seen in -
1. Analgesic nephropathy
2. Balkan nephropathy
3. Alport syndrome
4. Eosinophilic nephritis

Correct answer: 3. Alport syndrome

Explanation: Hereditary Nephritis refers to a group of heterogenous hereditary familial diseases associated primarily with glomerular injury. These are: Alport’s syndrome and Thin membrane disease.